A child presents with stridor, barking cough and difficulty in breathing since 2-3 days. He has fever and elevated leukocyte count. All of the following statements about his condition are true, EXCEPT:
1. Subglottis stenosis and hypopharyngeal dilatation may be seen on X-rays
2. Boys are more commonly affected than girls
3. Symptoms are predominantly caused by involvement of the subglottis
4. Antibiotics form the mainstay of treatment

Correct answer: 4. Antibiotics form the mainstay of treatment